During recording centric relation, compound occlusion rims with styli in maxillary arch are used in
1. Patterson technique
2. Intra-oral tracer technique
3. Extra-oral tracer technique
4. Needles-house technique

Correct answer: 4. Needles-house technique